Most commonly amyloidoisis is secondary to ?
1. Chronic suppuration
2. Acute inflammation
3. Cellular necrosis
4. Hyaline degeneration

Correct answer: 1. Chronic suppuration

Explanation: Ans. is 'a' i.e., Chronic suppurationo Most common cause of secondary amyloidosis is chronic inflammatory condition.